Lowest most level of integration of stretch reflex is at
1. Cerebral cortex
2. Lower Medulla
3. Spinal cord
4. All of the above

Correct answer: 3. Spinal cord